Which of the following is not included in the SAFE strategy?
1. Surveillance
2. Antibiotics
3. Facial hygiene
4. Environmental modification

Correct answer: 1. Surveillance

Explanation: In order to deal with the blindness caused by trachoma, the WHO has declared the SAFE strategy which includes the following: S - Surgery A - Antibiotics F - Facial hygiene ( Face washing) E - Environmental modification Surveillance is not included in the SAFE strategy. Ref: Park's Textbook of Preventive and Social Medicine 19th edition; pages 258 - 260; Parson's Textbook of Ophthalmology 19th Edition, Page 595